The difference between hyoscine and atropine is that hyoscine:
1. Exerts depressant effects on the CNS at relatively low doses
2. Exerts more potent effects on the heart than on the eye
3. Is longer acting
4. Has weaker antimotion sickness activity

Correct answer: 1. Exerts depressant effects on the CNS at relatively low doses

Explanation: ATROPINE HYOSCINE CNS EFFECT : AT LOW DOSE : EXCITATION(MILD) DEPRESSANT AT HIGHT DOSE : EXCITATION AND HALLUCINATION EXCITATION AND HALLUCINATION DURATION LONGER SHORTER ANTICHOLINERGIC PROPERTY MORE POTENT ON HEART, BRONCHIAL MUSCLES AND INTESTINE MORE POTENT ON EYE AND SECRETORY GLANDS